Rajat jain was presented to casuality in an unconscious state. His blood pressure was found to be 220/110 mm Hg. Most suitable drug for this patient to rapidly decrease the blood pressure is:
1. Sublingual nifedipine
2. Intramuscular injection of hydralazine
3. Intravenous infusion of sodium nitroprusside
4. Intravenous injection of clonidine

Correct answer: 3. Intravenous infusion of sodium nitroprusside